Hemoperfusion with charcoal is useful in
1. Barbiturate poisoning
2. Methyl alcohol
3. Lithium
4. Ethylene glycol

Correct answer: 1. Barbiturate poisoning

Explanation: Amongst the given options, hemoperfusion is used in barbiturate poisoning.